Which of the following is not a definitive airway device-
1. Orotracheal Intubation
2. Nasotracheal intubation
3. LMA
4. Tracheostomy

Correct answer: 3. LMA

Explanation: LMA is temporary airway device since it cannot prevent aspiration. The Laryngeal Mask Airway LMA is asupraglottic airway devicewhich sits in the hypopharynx and partially protects thelarynx from pharyngeal secretions, but not gastric regurgitation. Advantages: Easy and rapid Less invasive Better hemodynamic stability Very useful in difficult intubations Less complications Does not require deep plane of anaesthesia